Normal PCWP with pulmonary oedema is seen in
1. Left atrial myxoma
2. High altitude
3. Pulmonary vein obstruction
4. Pulmonary artery obstruction

Correct answer: 2. High altitude

Explanation: Ref Harrison 19 th ed pg 1763 The use of a Swan-Ganz catheter permits measurement of PCWP and helps differentiate high-pressure (cardiogenic) from normal- pressure (noncardiogenic) causes of pulmonary edema. High altitude has been grouped together as one of the miscellaneous causes for ARDS reflecting pulmonary oedema with a normal PCWP